Chronic carrier is seen in-
1. Measles
2. Whooping cough
3. Typhoid
4. None

Correct answer: 3. Typhoid

Explanation: Ans. is 'c' i.e., Typhoid o Chronic carriers are seen in typhoid fever, hepatitis B, dysentery, meningitis, malaria, gonorrhea and diphtheria.